Structures lying deep to posterior belly of digastric are all except?
1. Retromandibular vein
2. Hypoglossal nerve
3. Hyoglossus muscle
4. Occipital artery

Correct answer: 1. Retromandibular vein

Explanation: Relations of Digastric triangle Superficial Deep (medial) Platysma Mastoid process & sternocleidomastoid Stykohyoid muscle Retromandibular vein & parotid gland Submandibular salivary gland Angle of mandible with medial pterygoid For anterior belly Mylohyoid For posterior belly Transverse process of atlas with superior oblique & rectus capitis lateralis muscle. Hyoglossus muscle Hypoglossal & spinal accessory nerves Occipital, internal & external carotid, facial & lingual arteries Internal jugular vein